Facilitative glucose transporters (GLUTs) comprise a large family. Which of the following is a glucose transporter in myocytes?
1. GLUT 1
2. GLUT 2
3. GLUT 3
4. GLUT 4

Correct answer: 4. GLUT 4

Explanation: Major Glucose Transporters and its locations: GLUT 1 Brain, kidney, colon, placenta, erythrocytes GLUT 2 Liver, pancreatic beta cell, small intestine, kidney GLUT 3 Brain, kidney, placenta GLUT 4 Heart and skeletal muscle, adipose tissue GLUT 5 Small intestine Ref: Harper's Illustrated Biochemistry, 29e > Chapter 20. Gluconeogenesis & the Control of Blood Glucose > Blood Glucose Is Derived from the Diet, Gluconeogenesis, & Glycogenolysis > Metabolic & Hormonal Mechanisms Regulate the Concentration of Blood Glucose > Table 20-2.